Thrombocytopenia due to increased platelet destruction is seen in the following condition:
1. Aplastic anemia
2. Cancer chemotherapy
3. Acute leukemia
4. Systemic lupus erythematosus

Correct answer: 4. Systemic lupus erythematosus

Explanation: Thrombocytopenia is common in patients with SLE, occurring in 20 to 40 percent of patients. The causes of thrombocytopenia in SLE are many and include, Platelet destruction (ITP, DIC, TTP or hemolytic uremic syndrome , sepsis) Ineffective hematopoiesis (megaloblastic anemia) Abnormal platelet pooling (hypersplenism) Marrow hypoplasia (from drugs and infections) Dilutional thrombocytopenia related to therapy Ref: Diz-Kucukkaya R., Chen J., Geddis A., Lopez J.A. (2010). Chapter 119. Thrombocytopenia. In J.T. Prchal, K. Kaushansky, M.A. Lichtman, T.J. Kipps, U. Seligsohn (Eds), Williams Hematology, 8e.